Stephen fowler surgery is done for
1. Undescended testis
2. Ectopic testis
3. Retractile testis
4. Testicular torsion

Correct answer: 1. Undescended testis

Explanation: Stephen fowler surgery is two stage surgery for undescended testis.